Primary feature of small intestinal obstruction -
1. Fever
2. High peristalsis with colic
3. Abdominal distension
4. Empty rectum

Correct answer: 2. High peristalsis with colic